Receptors are located in the nucleus for all the following except
1. Insulin
2. Vitamin D
3. Thyroxine
4. Vitamin A

Correct answer: 1. Insulin

Explanation: Insulin receptors are enzyme-linked tyrosine kinase receptors on cell surface. nuclear or cytosolic receptors include steroid hormone,vit A, vit D, thyroid hormones Ref: HL Sharma 3rd ed Pg 66